Best view for frontal sinus:
1. caldwell
2. Towne
3. Walter's
4. Lateral view

Correct answer: 1. caldwell

Explanation: Caldwell view: (a) Frontal sinuses (seen best). (b) Ethmoid sinuses. (c) Maxillary sinuses. (d) Frontal process of zygoma and zygomatic process of frontal bone. (e) Superior margin of orbit and lamina papyracea. (f) Superior orbital fissure. (g) Foramen rotundum (inferolateral to superior orbital fissure). Ref: Dhingra 7e pg 494.